The chances of a gastric carcinoma are not increased in:
1. Pernicious anemia
2. Atrophic gastritis
3. Achlorhydria
4. Duodenal ulcer

Correct answer: 4. Duodenal ulcer